Orphan drugs are:
1. Drugs with high therapeutic failure
2. Drugs with high toxicity
3. Drugs having low therapeutic margin
4. Drugs for rare disease

Correct answer: 4. Drugs for rare disease